The greatest advantage of using extra oral anchorage is that:
1. More force can be applied
2. It has a direct reciprocal action on opposing arch
3. It permits posterior movement of teeth in one arch without disturbing the opposing arch adversely
4. Any of the above

Correct answer: 3. It permits posterior movement of teeth in one arch without disturbing the opposing arch adversely